Devi,a 28 yr female,has diarrhoea, confusion, high grade fever with bilateral pneumonitis.the diagnosis is
1. Leginonella
2. Neisseria meningitis
3. Streptococcus pneumoniae
4. H.influenza

Correct answer: 1. Leginonella

Explanation: Pneumonia in association with clinical clues in the form of high grade fever, confusion, and diarrhoea suggests a diagnosis of legionnaire's pneumonia Ref Harrison 19th edition pg 1016